Technetium - 99 scan is used for diagnosis of -
1. Meckel's diverticulum
2. Appendix
3. Berry aneurysm
4. Cold abscess

Correct answer: 1. Meckel's diverticulum

Explanation: Ans- A IOC for Meckel's Diverticulum is Technetium 99m pertechnate scan. Sensitivity is 90 %for pediatric population whereas for adults it is 50-55%only. If the Tech scan is normal,then go for enteroclysis